Steroid suphatase deficiency is seen in –
1. Ichthyosis vulgaris
2. Lamellar Ichthyosis
3. 'X' linked recessive ichthyosis
4. None of the above

Correct answer: 3. 'X' linked recessive ichthyosis

Explanation: In X-linked recessive ichthyosis there is deficiency of steroid sulphatase enzyme.